Supine hypotension is characteristic of :
1. 1st trimester
2. 2nd trimester
3. 3rd trimester
4. Twin pregnancy

Correct answer: 3. 3rd trimester

Explanation: 3rd trimester